Transition from G2 to M phase of the cell cycle is controlled by which of the following cyclins?
1. Cyclin D
2. Cyclin A
3. Cyclin E
4. Cyclin B

Correct answer: 4. Cyclin B

Explanation: Examples of cyclin/CDK complexes controlling the cell cycle. Cyclin B/CDK1 Regulates the transition from G2 to M phase Cyclin D-Cdk4/6 Regulates the transition from G1-S Cyclin D/CDK4, Cyclin D/CDK6, Cyclin E/CDK2, Cyclin A/CDK2 and cyclin B/ CDK1 Active in S phase